Nociception from abdomen is transmitted by
1. A gamma
2. Aa
3. C fibres
4. B

Correct answer: 3. C fibres

Explanation: Pain is carried by type c fibre. Table 4-1 Ref: Ganong's review of medical physiology; 23rd edition; pg:89